Which of the following is wrong:
1. Dick test - Scarlet fever
2. Neil Mooser reaction - Chlamydia
3. Koch's phenomenon - TB/Guinea pigs
4. Montenegro test-Leishmania

Correct answer: 2. Neil Mooser reaction - Chlamydia

Explanation: Ans. B. Neil Mooser reaction - ChlamydiaNeil Mooser reaction is done in guinea pigs and is positive for Rickettsia rickettsiae which causes Rocky Mountain Spotted Fever